N Methyl Glycine is known as:
1. Betaine
2. Sarcosine
3. Carnosine
4. Ergothionine

Correct answer: 2. Sarcosine

Explanation: Sarcosine/ N-methylglycine = intermediate and by-product in Glycine synthesis and degradation * Ergothionine is a thiourea derivative of Histidine, containing a sulfur atom on the imidazole ring * Betaine is N,N,N-Trimethylglycine, present in beet sugar. * Carnosine (Beta-Alanyl-L-Histidine), has Imidazole ring like Histidine, is a dipeptide molecule, made up of Beta-Alanine and Histidine. It is present in muscle and brain tissues.